A Malnourished child from a poor socioeconomic status, residing in overcrowded and dirty areas present with a nodule around the limbus with hyperemia of surrounding conjunctiva in his left eye. He is also observed to have axillary and cervical lymphadenopathy. Which of the following is the most likely diagnosis:
1. Phlyctenular conjunctivitis
2. Foreign body granuloma
3. Vernal keratoconjunctivitis
4. Episcleritis

Correct answer: 1. Phlyctenular conjunctivitis

Explanation: Ans. Phlyctenular conjunctivitis